Spermicide used in the contraceptive today:
1. Norethinosterol
2. Nonoxynol
3. DMPA
4. NET-EN

Correct answer: 2. Nonoxynol

Explanation: Nonoxynol